All of the following are true about incidence of retinoblastoma except:
1. Is the most common intraocular tumour of childhood
2. Occurs in 1 in 14000-34000 live births
3. No sex predisposition
4. More common in negroes than whites

Correct answer: 4. More common in negroes than whites

Explanation: Ans. More common in negroes than whites